All the following are neoplasms found in patients with HIV infection Except
1. Kaposi sarcoma
2. Primary lymphoma of brain
3. Invasive cancer of uterine cervix
4. Hepatocellular carcinoma

Correct answer: 4. Hepatocellular carcinoma

Explanation: Patients with AIDS have a high incidence of certain tumors, especially Kaposi sarcoma (KS), B-cell lymphoma, cervical cancer in women, and anal cancer in men.It is estimated that 25% to 40% of untreated HIV-infected individuals will eventually develop a malignancy. A common feature of these tumors is that they are caused by oncogenic DNA viruses, specifically Kaposi sarcoma herpesvirus (Kaposi sarcoma), EBV (B-cell lymphoma), and human papillomavirus (cervical and anal carcinoma).Ref: Robbins and Cotran Pathologic Basis of Disease; 9th edition; Chapter 6; Diseases of the Immune System; Page no: 253